Vascular injury during childhood is common in fracture of -
1. Lower end of humerus
2. Lower end of radius
3. Upper end of femur
4. Upper end of radius

Correct answer: 1. Lower end of humerus

Explanation: VIC develops most commonly after supracondylar humerus fracture in children.